Bakers cyst is a type of
1. Pulsion diverticulum of knee joint
2. Retention cyst
3. Bursistis
4. Benign tumor

Correct answer: 1. Pulsion diverticulum of knee joint

Explanation: Answer- A. Pulsion diverticulum of knee jointIt is the pulsion diverticulum of the knee joint, caused by chronic disease in the joint.Bulging of the posterior capsule and synovial herniation may produce a swelling in the popliteal fossa.